Commonest site of ectopic pregnancy is :
1. Uterus
2. Cervix -WE
3. Abdomen
4. Tubes

Correct answer: 4. Tubes

Explanation: Tubes